Of the different epidemiological study designs available to test the association between risk factor and disease, the best design is of -
1. Case-control study
2. Ecological study
3. Cohort study
4. Cross-sectional study

Correct answer: 3. Cohort study

Explanation: Ans. is 'c' i.e., Cohort study Comparison of various epidemiological EcologicalCross sectionalCase controlCohortProbability of selection biasNAMediumHighLowRecall biasNAHighHighLowLoss to follow upNANALowHighConfoundingHighMediumMediumLowTime required.LowMediumMediumHigh. CostLowMediumMediumHighStrength of causal interferenceLowLowMediumHigh